Which aminoacid is absent in Carisolv
1. Glycine
2. Glutamic acid
3. Leucine
4. Lysine

Correct answer: 1. Glycine